Absolute contraindication for MRI:
1. Pacemaker
2. Claustrophobia
3. Penile prosthesis
4. Joint replacement

Correct answer: 1. Pacemaker

Explanation: Ans. (a) PacemakerRef: Harrison 19th ed. /440e-tContraindications of MRIAbsolute contraindicationRelative contraindication* Pacemaker* Metallic foreign body in the eye* Deep brain stimulator* Swan-Ganz catheter* Bullets or gunshot pellets* Cerebral aneurysm clips* Cochlear implant* Magnetic dental implants* AAA stent* stapes implant* Implanted drug infusion device* Neuro or bone growth stimulator* Surgical clips, wire sutures, screws or mesh* Ocular prosthesis* Penile prosthesis* Joint replacement or prosthesis* Other implants, in particular mechanical devices